Web of causation of disease, which statement is most appropriate?
1. Mostly applicable for common diseases
2. Requires complete understanding of all factors associated with causation of disease
3. Epidemiological ratio
4. Helps to suggest ways to interrupt the risk of transmission

Correct answer: 4. Helps to suggest ways to interrupt the risk of transmission